Which drug is likely to cause livedo reticularis?
1. Gabapentin
2. Amantadine
3. Pramipexole
4. Levodopa

Correct answer: 2. Amantadine

Explanation: Ans. B. AmantadineAmantadine is antiviral agent used in parkinsonism. It increases the dopamine levels by inhibiting its reuptake and have anticholinergic effect. It causes discoloration of skin, livedo reticularis as side effect.